Haemorrhagic pericarditis occurs in all of the following conditions except.:
1. Transmural myocardial infarction
2. Dissecting aneurysm of aorta
3. Metastatic disease of pericardium
4. Constrictive pericarditis

Correct answer: 4. Constrictive pericarditis

Explanation: Answer is D (Constrictive pericarditis) Constrictive pericarditis is not haemorrhagic Causes of haemorrhagic pericarditis: Bacterial infections: infective endocarditis Tuberculosis Bleeding diathesis Following cardiac surgery Ruptured MI Ruptured aortic dissection Traumatic perforation